Dose rate in linear accelerator is measured as ?
1. Rads/minute
2. Rads/second
3. Roentgen/second
4. Curie/minute

Correct answer: 1. Rads/minute

Explanation: Ans. is'a'i.e., Rads/minute [Ref, Innovation in radiation oncology p. 100)The dose rate in teletherapy (including linear accelerator) is measured in monitor unit or rad per minute,A monitor unit is a measure of machine output from a clinical accelerator for radiation therapy such as linear accelerator or an orthovoltage unit.